Latest retinoid drug used in acne is:
1. Retinoic acid
2. Clindamycin
3. Adapalane
4. Azelaic acid

Correct answer: 3. Adapalane

Explanation: Ans. C: Adapalane Adapalene is an aromatic naphthoic acid derivative. Adapalene is stable in the presence of light and resistant to oxidation by benzoyl peroxide. Additionally, it differs from tretinoin/ retinoic acid in its affinity for various retinoic acid receptors. Moreover, adapalene is a very effective antiacne agent and shows low irritation potential, no sensitization, and no phototoxicity. Adapalene was approved for the topical treatment of acne in 1996